Collecting tubules of kidney develop from :
1. Uretric bud
2. Mesonephric duct
3. Paramesonephric duct
4. Wolffian duct

Correct answer: 1. Uretric bud

Explanation: A. i.e. Ureteric bud